Immediate treatment for hyperkalemia with significant ECG changes?
1. Calcium chloride
2. Calcium hydroxide
3. K+ Binding Resin Enema
4. Calcium Carbonate

Correct answer: 1. Calcium chloride

Explanation: Calcium increases threshold potential- restoring normal gradient between threshold potential and resting membrane potential (elevated abnormally in hyperkalemia) Calcium chloride - onset of action is < 5min and lasts about 30-60 min. Doses should be titrated with constant monitoring of ECG changes during administration Potassium binding resin exchanges Na+ for K+ :onset of action after PO ranges from 2-12 h. Calcium hydroxide and calcium carbonate have no role in management of hyperkalemia.